Which of the following cytokine act as a specific hematopoietic growth factor of Eosinophils?
1. IL 2
2. IL 4
3. IL 5
4. M CSF

Correct answer: 3. IL 5

Explanation: Growth factors cause cells in one or more of the committed cell lines to proliferate and mature. IL 5 stimulates eosinophils specifically. IL 4 stimulates basophils. IL 1 and 3 stimulates erythrocyte, granulocyte, megakaryocyte and monocyte. Erythropoietin stimulates erythrocyte growth. G-CSF stimulates growth of granulocytes. GM-CSF stimulates growth of erythrocyte, granulocyte and megakaryocyte. M-CSF stimulates growth of monocyte. Thrombopoietin stimulates growth of megakaryocyte. Ref: Barrett K.E., Barman S.M., Boitano S., Brooks H.L. (2012). Chapter 3. Immunity, Infection, & Inflammation. In K.E. Barrett, S.M. Barman, S. Boitano, H.L. Brooks (Eds), Ganong's Review of Medical Physiology, 24e.